The common organism isolated in Emphysematous pyeloneohritis is
1. E. Coli
2. Proteus
3. Pseudomonas
4. Klebsiella

Correct answer: 1. E. Coli

Explanation: Emphysematous pyelonephritis (EPN) is a severe, necrotizing infection of the renal parenchyma causing gas formation within the collecting system, renal parenchyma, and/or perirenal tissues. Also called renal emphysema and pneumonephritis. Gas in the renal pelvis alone, without parenchymal gas, is often referred to as emphysematous pyelitis.EPN most often occurs in persons with diabetes mellitus, especially women.Among the bacteria associated with emphysematous pyelonephritis (EPN), Escherichia coli is isolated in 66% of patients, and Klebsiella species are reported in 26% of patients. Proteus,Pseudomonas, and Streptococcus species are other organisms found in patients with EPN, and Entamoeba histolytica and Aspergillus fumigatus also have been reported to cause the disease. Mixed organisms are observed in 10% of patients. Rare organisms such as Clostridium and Candida species have also been isolated in patients with EPN.